Which of the following drug is used to prevent acute mountain sickness?
1. Acetazolamide
2. Dexamethasone
3. Diltiazem
4. Digoxin

Correct answer: 1. Acetazolamide

Explanation: Ans. A. AcetazolamideAcetazolamide is effective in preventing acute mountain sickness (AMS), high altitude pulmonary edema (HAPE), and high altitude cerebral edema (HACE).Mechanism in above pathology:* Counteracts the respiratory alkalosis which occurs during ascent to altitude* Facilitates the excretion of bicarbonate in the urine* Decreases pH of CSF* Decreases CSF formation